A 54-yrs-old male develops of severe chest pain. ECG shows acute MI. He was given thrombolytic therapy with tPA. However, his serum creatine kinase increased after this therapy. Which event most likely occurred?
1. Reperfusion injury
2. Cellular regeneration
3. Chemical injury
4. Increased synthesis of creatine kinase

Correct answer: 1. Reperfusion injury

Explanation: The restoration of blood flow is helpful if the existing cell damage is: not great, and further damage can be prevented. However, the reperfusion of damaged cells results in generation of oxygen-derived free' radicals to produce a reperfusion injury. The elevation in the creatine kinase level is indicative of myocardial cell necrosis, does not cause a chemical injury but induces thrombolysis to restore blood flow.